Poison having garlic smell:
1. Arsenic
2. Cannabis
3. Alcohol
4. Hemlock

Correct answer: 1. Arsenic

Explanation: Ans. (A). Arsenic(Ref: Review of Forensic Medicine and toxicology; Gautum Biswas; 2nd edition; Pg- 490)Garlic odour: Arsenic and aluminium phosphide.Poisons and SmellOrganophosphorus compoundsKeroseneQ (due to the addition of AROMAX)Arsenic, Aluminium phosphide/seleniumGarlicQCannabisBurnt ropeQSmell of carrotHemlock (conium maculatum)AlcoholFruity (due to congeners)CyanideBitter almondQHydrogen sulphide/ Mercaptans/ disulfiram/ N-acetyl cysteineRotten eggQChloral hydrate/ParaldehydeAcrid pearQ/AromaticNaphthaleneMoth ballSalicylateMentholZinc phosphideFishyShoe PolishNitrobenzene